Most common cause of neuropathic joint -
1. Leprosy
2. Tabes dorsalis
3. Diabetes
4. Nerve injury

Correct answer: 3. Diabetes

Explanation: Ans. is 'c' i.e., DiabetesNeuropathic joint (Charcot's joint)o It is a progressive destructive arthritis associated with loss of pain sensationx, proprioception or both, in addition normal muscular reflexes that modulate joint movements are decreased.o Without these protective mechanisms, joints are subjected to repeated trauma, resulting in progressive cartilage and bone damage.o It is most commonly caused by diabetes mellitus.Causes of Neuropathic joint disease (Charcoat's joint)o Diabetes mellitus {most common) o Amyloidosiso Tabes Dorsalis o Leprosyo Meningomyelocele o Congenital indifference to paino Syringomyelia o Peroneal muscular atrophy